During foetal life maximum growth is caused by :
1. Growth hormone
2. Insulin
3. Cortisol
4. Thyroxin

Correct answer: 2. Insulin

Explanation: Fetal growth is predominantly controlled by :

IGF-1
Insulin
Other growth factors